A 50-year-old family physician has vertical diplopia; the man feels unsure when descending stairs. He can eliminate the double vision by tilting his head toward the opposite side. Which of the following extraocular muscles is responsible for the ocular malalignment?
1. Inferior rectus
2. Inferior oblique
3. Lateral rectus
4. Superior oblique

Correct answer: 4. Superior oblique

Explanation: The superior oblique depresses, abducts, and intorts the eye. Paralysis of this muscle results in extorsion and weakness of downward gaze. Head tilting compensates for extorsion. Chin depression would be seen in Superior oblique palsy